Elapidaes are-
1. Vasculotoxic
2. Neurotoxic
3. Musculotoxic
4. Nontoxic

Correct answer: 2. Neurotoxic

Explanation: Elapidaes are Neurotoxic Elapidaeare a family of venomous snakes commonly referred to as elapids. This family includes cobras, adders, mambas, common kraits. ...................................................................................................................................................................................... VIPERIDAE are vasculotoxic/hemotoxic. This framily includes russel viper and saw scaled viper ...................................................................................................................................................................................... Hydropidae are myotoxic and this family includes sea snakes.